Caloric test is done for
1. Semicircular canal
2. Macula
3. Saccule
4. Cochlea

Correct answer: 1. Semicircular canal

Explanation: Ans. (a) Semicircular canalRef. Dhingra's ENT 5th ed. / 48* Caloric test is used to assess vestibular function. The basis of this test is to induce nystagmus by thermal stimulation of the vestibular system.* Done by taking water of 2 temperatures, cold (30degC) and hot (44degC).* Position of the test: Supine then lift head at 30deg forward or patient sitting with bending backwards 60*.* This position is used in order to make lateral/ horizontal SCC in vertical position.* Cold water elicits nystagmus in opposite eye and warm water elicit nystagmus in same eye (Mn: COWS).* Interpretation:# Normal: Time taken from start of irrigation to end point of Nystagmus is taken and it is 80 seconds --120 seconds.# Canal paresis: Duration of Nystagmus shortened i.e. < 80 sec.* Indicates depressed function of ipsilateral Labyrinth, vestibular nerve and vestibular nuclei.* It is seen in:# Meniere's disease# Acoustic neuroma# Vestibular neuritis# Vestibular nerve section# Postural vertigo